The minimum amount of fluoride required in common salt for caries reduction is
1. 100 mg/kg
2. 90 mg/kg
3. 200 mg/kg
4. 350 mg/kg

Correct answer: 3. 200 mg/kg